Which one of the following drugs exacerbate reflux esophagitis
1. Cisapride
2. Chlorpropamide
3. Theophylline
4. Metoclopramide

Correct answer: 3. Theophylline

Explanation: Drugs that can increase acid reflux and worsen GERD include: Anticholinergics Tricyclic antidepressants Calcium channel blockers Nitrates Opioids Progesterone Quinidine Benzodiazepines Theophylline ref - Harrisons internal medicine 20e pg2215,2219